Jack stone calculi is seen in which anatomic part -
1. Prostate
2. Kidney
3. Ureter
4. Bladder

Correct answer: 4. Bladder